Corrosion of stainless steel is due to formulation of:
1. Chromium carbide
2. Carbon carbide
3. Iron carbide
4. Nickel carbide

Correct answer: 1. Chromium carbide